Spinnbarkeit phenomenon is :
1. Elasticity of cervical mucus
2. Clue Cells of cervical mucosa
3. Vaginal secretions with numerous leucocytes
4. Dependent on Sr. progesterones

Correct answer: 1. Elasticity of cervical mucus

Explanation: At the time of ovulation, the cervical mucus is thin and profuse that the patient may notice a clear discharge, the so-called normal ovulation cascade. This ovulation mucus has the property of great elasticity and will withstand stretching up to 10 cm. This phenomenon is called spinnbarkeit or the thread test for oestrogen activity. During the secretory phase, the cervical mucus becomes tenacious and its viscosity increases under the influence of progesterone so that it loses the property of spinnbarkeit and fractures when put under tension. This property is called tack. THIS LOSS OF SPINNBARKEIT EFFECT IS USED TO DIAGNOSE OVULATION RETROSPECTIVELY.